Which cerebral layer is referred as "Internal granule cell layer"?
1. Layer/Lamina IV
2. Layer/Lamina V
3. Layer/Lamina VI
4. Layer/Lamina VII

Correct answer: 1. Layer/Lamina IV

Explanation: Layer/Lamina IV of cerebral cortex. Layer/Lamina IV - "Internal granule cell layer" Contains predominately granule cells & nerve fibers. Specific sensory input through thalamocortical fibers terminate primarily in cortical layer IV on stellate (granule cells). Diffuse non-specific sensory afferents are distributed through layer I-IV. OTHER LAYERS OF CEREBRAL CORTEX: Composed of 6 layers - Layer/Lamina I - "Molecular layer" Contains nerve fibers. Mainly dendrites of pyramidal cells & axons of granular cells. Layer/Lamina II - "External granule cell layer" Contains mainly granule cells. Layer/Lamina III - "External pyramidal cell layer" Contains mainly small to medium size pyramidal cells Some granular cells also present Layer/Lamina V - "Internal pyramidal cell layer" Contains large pyramidal cells. Descending tracts, i.e. projection fibers from cortex (corticospinal tract, corticobulbar tract) are the axons of these pyramidal cells of Layer V Layer/Lamina VI - "Multiform layer" Contains all types of cells